Colon is supplied by all except ?
1. Inferior mesenteric artery
2. Ileocolic artery
3. Middle colic artery
4. Internal iliac artery

Correct answer: 4. Internal iliac artery

Explanation: The blood supply of colon is derived from the marginal artery of Drummond. It is a paracolic anastomotic artery formed by anastomosis between colic branches of superior mesentric artery (ileocolic, right colic, middle colic) and colic branches of inferior mesenteric artery (left colic and sigmoidal arteries). Terminal branches from marginal artery are distributed as long and short vessels vasa longa and vasa bra.There are areas of colon with poor blood supply resulting from incomplete anastomosis of marginal arteries. These are watershed areas of colon and include :Splenic flexure (Griffith point) : Watershed area between superior mesenteric artery and inferior mesenteric artery.Rectosigmoid junction (Sudeck's point) : Watershed zone between inferior mesenteric artery and internal iliac artery.